The most malignant endometrial carcinoma is:
1. Adenocarcinoma
2. Adenoacanthoma
3. Mixed adenosquamous carcinoma
4. Clear cell carcinoma

Correct answer: 4. Clear cell carcinoma

Explanation: Endometrial cancers can be histologically classified as